Glucose is linked to hemoglobin through
1. N linkage
2. O linkage
3. C-C linkage
4. O-H linkage

Correct answer: 1. N linkage

Explanation: The glycated hemoglobins are together called HbA1 fraction.Out of this 80% molecules are HbA1c, where glucose is attached to the N -terminal valine of beta chain of hemoglobin. The rest of molecules are HbA1a1, where fructose 1,6-phospate and HbA1a2, where glucose-6-phosphate are attached. REF :DM VASUDEVAN TEXTBBOK ,7th EDITION; Page no :328